Posterior marking on Ba column in Ba swallow study is caused by?
1. Aortic knuckle
2. Left atrium
3. Aberrant right subclavian artery
4. Pulmonary artery sling

Correct answer: 3. Aberrant right subclavian artery

Explanation: C i.e. Aberrant right subclavian artery An aberrant right subclavian artery arises from the aortic arch distal to the origin of left subclavian artery, and passes upwards & to the right behind the oesophagus. This gives rise to a classical smooth, oblique indentation on posterior wall of barium filled oesophagusQ.